Myoglobin binds to_____ molecules of oxygen?
1. 4
2. 2
3. 1
4. 3

Correct answer: 3. 1

Explanation: Myoglobin is an iron containing pigment found in skeletal muscle and binds to 1 rather than 4 mol of O2

The lack of cooperative binding is reflected in myoglobin dissociation curve which is rectangular hyperbola.
The steepness of the curve shows that oxygen is released at low pO2 values like at exercise.